After endodontic treatment, the apical foramen is closed due to deposition of:
1. Bone
2. Cementum.
3. GP.
4. Sealer.

Correct answer: 2. Cementum.

Explanation: Cementum is an ideal apical seal after obturation.